The arterial blood glucose concentration in normal humans after a meal is in the range of:
1. 30 to 50mg/dL
2. 50 to 70mg/dL
3. 120 to 150 mg/dL
4. 220 to 250 mg/dL

Correct answer: 3. 120 to 150 mg/dL

Explanation: Ans. C. 120 to 150 mg/dLUnlike patients who have diabetes, healthy humans are capable of keeping their blood glucose within a relatively narrow range after a meal, 120 to 150 mg/dL. Blood levels of 30 to 50 mg/dL and 50 to 70 mg/dL indicate hypoglycemia, and blood levels of 220 to 250 mg/dL and 300 to 350 mg/dL indicate hyperglycemia.